Which of the following is the most common identifiable cause for Restrictive cardiomyopathy
1. Alcohol
2. Hemochromatosis
3. Amyloidosis
4. Sarcoidosis

Correct answer: 3. Amyloidosis

Explanation: Ref Harrison 19 th ed pg 1569 Amyloidosis is the major cause of restrictive cardiomyopathy . Several proteins can self-assemble to form the beta-sheets of amyloid proteins, which deposit with differ- ent consequences depending on the type of protein.